A middle aged man who underwent an abdominal surgery developed hallucination after surgery. Which of the following anaesthetic agent is associated with hallucination?
1. Ketamine
2. Halothane
3. Ether
4. Cyclopropane

Correct answer: 1. Ketamine

Explanation: Emergence delirium, characterized by hallucinations, vivid dreams, and delusions, is a frequent complication of ketamine that can result in serious patient dissatisfaction and can complicate postoperative management. Delirium symptoms are most frequent in the first hour after emergence and appear to occur less frequently in children. Benzodiazepines reduce the incidence of emergence delirium. Ref: Patel P.M., Patel H.H., Roth D.M. (2011). Chapter 19. General Anesthetics and Therapeutic Gases. In L.L. Brunton, B.A. Chabner, B.C. Knollmann (Eds), Goodman & Gilman's The Pharmacological Basis of Therapeutics, 12e.